Part of Basal ganglia, primarily involved in parkinsonism?
1. Subthalamic nudes
2. Substantia nigra
3. Globus pallidus
4. None

Correct answer: 2. Substantia nigra

Explanation: Ans. is 'b' i.e., Substantia nigra